General Adaptation Syndrome (GAS) is seen in-
1. Panic Attacks
2. Depression
3. Anxiety
4. Stressful Situations

Correct answer: 4. Stressful Situations

Explanation: General Adaptation Syndrome (GAS) is a model of body's response to stress and consists of three stages; alarm, resistance and exhaustion.